The flap design ideal for root end surgical procedures in upper anterior teeth with ceramic crowns is the
1. Semilunar flap
2. Trapezoidal flap
3. Triangular flap
4. Submarginal scalloped flap

Correct answer: 4. Submarginal scalloped flap